Which of the following factor is morphogenic as well as mitogenic
1. Fibroblast growth factor
2. Platelets growth factor
3. Bone morphogenic protein
4. Insulin like groth factor

Correct answer: 1. Fibroblast growth factor

Explanation: ref Robbins 9/e p19-20 ;8/e p87-88 ,fetal and neonatal physiology 4/e p867-868 The fibroblast growth factors (FGF) are a family of cell signalling proteins that are involved in a wide variety of processes, most notably as crucial elements for normal development. Any irregularities in their function lead to a range of developmental defects. These growth factors generally act as systemic or locally circulating molecules of extracellular origin that activate cell surface receptors. A defining property of FGFs is that they bind to heparin and heparan sulfate, thus some of them are found to be sequestered in the extracellular matrix of tissues that contains heparan sulfate proteoglycans and they are released locally upon injury or tissue remodeling Both morphogenic and mitogen